Chronic granulomatous disorder is due to defect in -
1. B-cells
2. NADPH oxidase
3. IgA
4. T-cell

Correct answer: 2. NADPH oxidase

Explanation: Chronic granulomatous disease is a fatal genetic disorder in which there is deficiency of NADPH oxidase. In these patients, leucocytes phagocytose invading bacteria normally but are unable to kill ingested micro organisms because engulfment of bacteria is not followed by activation of oxygen dependent killing mechanism. Reference : Baveja text book of microbiology, 4th edition, Pg no: 153